Theme: Tooth Preparation Procedures
A - Cingulum rest preparation
B - Composite restorations
C - Full-coverage crown
D - Guide plane preparation
E - Partial-coverage cast restoration
F - Tilting cast
For each of the following descriptions, choose the most appropriate preparation or procedure from the list above. You may use each option once, more than once or not at all.
1) Presence of deep hard tissue undercut associated with the anterior maxilla.
2) Modification of an unfavourable survey line, prior to recording a master impression.
3) Capacity to provide additional support and in certain circumstances indirect retention
1. 1F 2C 3B
2. 1A 2B 3F
3. 1A 2B 3C
4. 1F 2B 3A

Correct answer: 4. 1F 2B 3A